Commonest cause of recto vaginal fistula is :
1. Following Wertheim's operation
2. Pressure necrosis during labour
3. Improper repair of perineal tear
4. Abnormal presentation

Correct answer: 3. Improper repair of perineal tear

Explanation: Improper repair of perineal tear